Indication of aspiration in liver abscess:
1. Left lobe abscess
2. Deep & less than 5 cm size
3. Multiple
4. Recurrent

Correct answer: 1. Left lobe abscess

Explanation: Ans. is 'a' i.e. Left lobe abscess